Captopril can cause all Except:
1. Decrease in K+ concentration
2. Decrease in after load
3. Proteinuria
4. Blood dyscrasia

Correct answer: 1. Decrease in K+ concentration

Explanation: Captopril is an ACE inhibitor- lowers BP. Reflex (postural) changes in plasma aldosterone are abolished and basal levels are decreased as a consequence of loss of its regulation by A-II. However, physiologically sufficient mineralocorticoid is still secreted under the influence of ACTH and plasma K+. Hyperkalaemia is more likely in patients with impaired renal function and in those taking K+ sparing diuretics, NSAIDs. *(REF.ESSENTIALS OF MEDICAL PHARMACOLOGY K.D TRIPATHI-6th EDITION.Page No-483,484)